Triad of tinnitus, progressive deafness and vertigo along with facial weakness is seen in which of the following conditions?
1. Meniere's disease
2. Lermoyez syndrome
3. Acoustic neuroma
4. Otosclerosis

Correct answer: 3. Acoustic neuroma

Explanation: Acoustic neuroma arise from the nerve sheath cells of the acoustic nerve in the region of the internal auditory meatus. The symptoms of this condition includes progressive unilateral sensorineural deafness, tinnitus and vertigo. At the cerebellopontine angle it puts pressure on ipsilateral cranial nerves and can produce facial palsy and trigeminal nerve involvement. Causes of vertigo in different diseases: Vertigo precipitated by the movement of head in a specific direction: Benign positional vertigo. Intermittent brief vertigo with occasional drop attacks, ataxia, visual loss, double vision and confusion: Vertebrobasilar insufficiency. Episodic recurrent vertigo, with auditory symptoms, headache, photophobia and aura: Migraine. Vertigo with facial weakness and loss of taste sensation: Ramsay hunt syndrome. Triad of episodic vertigo, tinnitus and progressive deafness: Meniere's disease.